Which blood group is universal donor?
1. A
2. B
3. O
4. AB

Correct answer: 3. O

Explanation: ANSWER: (C) OREF: Ganong 24th ed page 562Persons with type AB blood are "universal recipients" because they have no circulating agglutinins and can be given blood of any type without developing a transfusion reaction due to ABO incompatibility. Type O individuals are "universal donors" because they lack A and B antigens, and type O blood can be given to anyone without producing a transfusion reaction due to ABO incompatibility. This does not mean, however, that blood should ever be transfused without being cross-matched except in the most extreme emergencies